A 55 years male presented with dry mouth, & rheumatoid arthritis with high titre of anti SS-A and SS-B antibodies, diagnosed a case of minor salivary gland tumour. The earliest histologic finding in -
1. Endothelial cells
2. Basophils
3. Lymphocyte
4. Eosinophils

Correct answer: 3. Lymphocyte

Explanation: Harshmohan textbook of pathology 7th edition. *sjogren's syndrome is characterised by triad of dry eyes ,dry mouth and rheumatoid arthritis. In early stage the lacrimal and salivary gland shows periductal infiltration by lymphocytes and plasma cells which at times may form lymphoid follicles.